Agoraphobia is seen in patient with
1. Generalized anxiety disorder
2. Social anxiety disorder
3. Panic attacks
4. OCD

Correct answer: 3. Panic attacks

Explanation: Panic attack and phobia are usually seen as comorbid conditions.